Culture media for Legionella:
1. BCYE agar
2. Baird Parker medium
3. Macconkey agar
4. PLET medium

Correct answer: 1. BCYE agar

Explanation: Buffered charcoal, yeast extract (BCYE) agar- Legionellae are highly fastidious and grow on complex media, such as BCYE agar (pH 6.8- 6.9) Plates are incubated al 37 degree Celsius in 5% CO2 for 3-5 days. Colonies are round with an entire edge, glistening, convex, green or pink iridescent and have granular or speckled opalescence resembling ground glass.